Which of the following drugs can cause gynaecomastia?
1. Digoxin
2. Ketoconazole
3. Spironolactone
4. All of the above

Correct answer: 4. All of the above

Explanation: Drugs causing gynaecomastia : Digoxin,Ketoconazole,Spironolactone,Cimetidine,Estrogen.